Cell wall deficient bacteria are
1. Escherichia Coli
2. Staphylococci
3. Spirochetes
4. Mycoplasma

Correct answer: 4. Mycoplasma